A 40 year old diabetic male present with vitrous haemorrhage. Most important cause for it is
1. Poterior vitreous detachment
2. CRVO
3. CRA trauma
4. Neovascularization of disc

Correct answer: 4. Neovascularization of disc

Explanation: D i.e. Neovascularization of disc